Characteristics of BENIGN tumour of lung in X-ray is
1. Size > 5 cms diameter
2. Cavitation
3. Peripheral location
4. Concentric dense calcification

Correct answer: 4. Concentric dense calcification

Explanation: Central, concentric, laminar, popcorn or homogeneous (diffuse) calcification is seen in benign lesions.